Which antibodies in mother with SLE is responsible for congenital heart disease in child?
1. Anti-histone
2. Anti-Ro & Anti-LA
3. Anti ds DNA
4. Anti-centromere

Correct answer: 2. Anti-Ro & Anti-LA

Explanation: Ans. is 'b' i.e., Anti-Ro & Anti-LA